White patches due to degenerated squamous epithelium occurring on buccal mucosa and gums is known as:
1. Coup D'Ongle sign
2. Compy's sign
3. Darier's sign
4. Pseudodarier's sign

Correct answer: 2. Compy's sign

Explanation: Compy's sign in measles: Appearance of white patches due to degenerated squamous epithelium occurring on buccal mucosa and gums. Darier's sign: Urticaria pigmentosa Pseudodarier's sign: Smooth ms hamartoma Coup D'Ongle sign: Pityriasis versicolor